Which cancauseprofoundhyperlipidemia ?
1. Hyperinsulinemia
2. Hypothyroidism
3. Hyperparathyroidism
4. Hyperthyrodism

Correct answer: 2. Hypothyroidism

Explanation: Ref: R Alagappan - Manual of Practical Medicine 4th Edition.pg no:687-688 CAUSES OF HYPERLIPIDAEMIA The following conditions predispose to the development of these exacerbations: a. Poorly controlled diabetes mellitus b. Alcoholism c. Oestrogen containing contraceptive pills d. Hypothyroidism. There is an increased prevalence of obesity and diabetes in these people.